True statements regarding octreotide are all of the following except:
1. Synthetic octapeptide
2. Used in variceal bleeding
3. Contraindicated in acromegaly
4. Useful in secretory diarrhea

Correct answer: 3. Contraindicated in acromegaly

Explanation: Ans. C: Contraindicated in Acromegaly Octreotide is an synthetic octapeptide that mimics natural somatostatin pharmacologically, though it is a more potent inhibitor of growth hormone, glucagon, and insulin than the natural hormone. Salt form of this peptide, octreotide acetate, is used as an injectable depot formulation for the treatment of acromegaly, the treatment of secretory diarrhea and flushing episodes associated with carcinoid syndrome, and treatment of diarrhea in patients with vasoactive intestinal peptide-secreting tumors (VlPomas). Octreotide has also been used off-label for the treatment of severe, refractory diarrhea from other causes. It is used in toxicology for the treatment of prolonged recurrent hypoglycemia after sulfonylurea and possibly meglitinides overdose. Octreotide has also been used with varying degrees of success in infants with nesidioblastosis to help decrease insulin hypersecretion. In patients with suspected esophageal varices, octreotide can be given to help decrease bleeding. Octreotide may be useful in the treatment of thymic neoplasms. It has been used in the treatment of malignant bowel obstruction. Octreotide may be used in conjunction with midodrine to partially reverse peripheral vasodilation in the hepato-renal syndrome. By increasing systemic vascular resistance, these drugs reduce shunting and improve renal perfusion, prolonging survival until definitive treatment with liver transplant.